Guanine ring - True are all except ?
1. It has 9 atoms
2. Aspartate acts as the amino group donor for forming guanine
3. Carbonyl group at C6 acts as a hydrogen bond acceptor
4. It forms three hydrogen bonds with cytosine

Correct answer: 2. Aspartate acts as the amino group donor for forming guanine

Explanation: Ans. is 'b' i.e., Asparate acts as the amino group donor for forming guanineGuanine ring is a purine ring. Hence it has nine atoms included in the ring.It is formed from IMP (Inosine Mono Phosphate). IMP undergoes dehydrogenation, in the presence of IMP dehydrogenase (NADP is the coenzyme) to form Xanthosine Mono Phosphate (XMP). XMP undergoes amination with glutamine to form GMP.On the other hand, IMP undergoes amination with Aspartate to form Adenylosuccinate. Adenylosuccinate in the presence of Adenylosuccinate lyase to form AMP and fumarate.